Which among the following is associated with cystic glandular hyperplasia in premenopausal women?
1. Menorrhagia
2. Polymenorrhea
3. Oligomenorrhea
4. Metropathia haemorrhagica

Correct answer: 4. Metropathia haemorrhagica

Explanation: Metropathia haemorrhagica is otherwise known as cystic glandular hyperplasia or Schroeder's disease. It is a type of abnormal bleeding, usually met in premenopausal women. The basic pathology may lie in the ovaries or may be due to disturbance of the rhythmic secretion of the gonadotrophins. There is slow increase in secretion of estrogen but no negative feedback inhibition of FSH. After a variable period, the estrogen level falls resulting heavy bleeding. Microscopic findings of uterus: Marked hyperplasia of all the endometrial components Absence of secretory changes Areas of necrosis in the superficial layers Ref: Textbook of Gynecology by D C Dutta, 4th edition, Page 178-179.